Polyhydramnios ranges maximum seen in:
1. End of 1st trimester
2. Early part of 2nd trimester
3. Latter part of 2nd trimester
4. Third trimester

Correct answer: 4. Third trimester

Explanation: Ans. d. Third trimesterEarly onset or severe Polyhydramnios is associated with aneuploidy, congenital malformations preterm delivery, and an increased perinatal mortality rate.The cause of mild Polyhydramnios, especially seen in the latter part of the third trimester, is usually idiopathic or related to diabetes mellitus and has little impact in perinatal survival.AMNIQTIC FLUID DYNAMICS